Which is the Valvular lesion being repaired in this 20-year-old man with the malar flush?
1. Mitral stenosis
2. Mitral regurgitation
3. Aortic stenosis
4. Aortic regurgitation

Correct answer: 1. Mitral stenosis

Explanation: *Image shows a balloon valvotomy procedure being performed which rules out regurgitation lesions as valvotomy is performed in stenosis. Malar flush is already mentioned here which points towards mitral facies. *AS is ruled out since percutaneous aortic balloon valvuloplasty is preferred in children with AS. It is not used in adults with severe calcific AS because of high stenosis rates and procedural complications like embolic stroke. *MS with surface area <1 square cm/m2 or <1.5 square cm/m2 in adults is treated with percutaneous mitral balloon valvotomy.